Openings of the tube of bronchoscope are known as-
1. Holes
2. Apertures
3. Vents
4. Any of the above

Correct answer: 3. Vents

Explanation: Bronchoscope is similar to esophagoscope, but has openings at the distal part of the tube, called Vents which help in aeration of the side bronchi.